An anxiety reaction in which the mind is preoccupied with certain thoughts and ideas that cannot be driven away is
1. Impulse
2. Phobia
3. Obsession
4. Confabulation

Correct answer: 3. Obsession

Explanation: Obsession This is an anxiety reaction in which the mind is preoccupied with certain thoughts and ideas that cannot be driven away Ref: FORENSIC MEDICINE AND TOXICOLOGY Dr PC IGNATIUS THIRD EDITION PAGE 360